Which of the following is the commonest tumour of thyroid -
1. Anaplastic carcinoma
2. Follicular carcinoma
3. Papillary carcinoma
4. Medullary carcinoma

Correct answer: 3. Papillary carcinoma

Explanation: Ans. is 'c' i.e., Papillary 'Papillary carcinoma accounts for 80% of all thyroid malignancies in iodine-sufficient areas and is the predominant thyroid cancer in children and individuals exposed to external radiation." - SchwartzIncidence of primary malignant tumors of thyroid gland (Harrison 17/e)Type of thyroid carcinomaApproximate PrevalencePapillary Carcinoma80-90%Follicular Carcinoma5-10%Medullary Carcinoma10%Anaplastic CarcinomaRareLymphomas1-2%* Also rememberThyroid carcinoma is the most common malignancy of the endocrine system (Ref: Harrison, 17/e, p 2243)